Normal partogram include all of the following EXCEPT:
1. Cervical dilatation in X-axis
2. Descent of head in Y-axis
3. Sigmoid shaped curve
4. Alert line followed 4 hours later by action line

Correct answer: 1. Cervical dilatation in X-axis

Explanation: Ans. A i.e. Cervical dilatation in X-axis Charts Partogram is: - Graphical representation of stages of labour; - Assessment of labour Cervicograph is: Graph showing relationship between cervical dilatation & labour